Ziemans dots are seen in:
1. Plasmodium malariae
2. Plasmodium vivax
3. Plasmodium falciparum
4. Plasmodium knowelsi

Correct answer: 1. Plasmodium malariae

Explanation: Plasmodium malariae- ZOOM* Z- Ziemann's dots* OO- Old age RBCs* M- Maximum Incubation period * It is associated with nephrotic syndrome.* Band forms are present Schuffners dots - P. vivaxMaurer dots- P. falciparumJames dots- P. ovale